Which of the following drugs is not used in Juvenile Myoclonic Epilepsy?
1. Topiramate
2. Zonisamide
3. Carbamazepine
4. Valproate

Correct answer: 3. Carbamazepine

Explanation: c. Carbamazepine(Ref: Nelson's 20/e p 2831-2856, Ghai 8/e p 557-561)Drugs used for treatment of JME are Valproate (drug of choice), Levetiracetam; Lamotrigine, Topiramate, Zonisamide.